Total number of cases of guinea worm detected in 1999 are :
1. zero
2. 7
3. 215
4. 315

Correct answer: 1. zero

Explanation: Ans. is 'a'. Zero "India launched its national Guinea Worm Eradication Programme in 1984 with assistance from WHOThe country has reported zero case since August 1996.In Feb 2000 the international commission for the certification of Dracunculiasis Eradication recommended that India be certified free of Dracunculiasis transmission" - Park.